Administration of which of the following anesthetic agents is associated with reduced incidence of light headedness and rapid recovery:
1. Diazepam
2. Droperidol
3. Propofol
4. Midazolam

Correct answer: 3. Propofol